All of the following are true regarding diuretics except:-
1. Spironolactone is a potassium sparing drug
2. Mannitol is an osmotic diuretic
3. Thiazides act by inhibiting sodium-potassium chloride co-transport
4. Acetazolamide inhibits carbonic anhydrase enzyme

Correct answer: 3. Thiazides act by inhibiting sodium-potassium chloride co-transport

Explanation: Name Site of action Example Mechanism Loop diuretics Thick ascending limb of Loop of Henle Furosemide Torsemide Na-K-2Cl symporter inhibition Carbonic anhydrase inhibitors PCT Acetazolamide Dorzolamide Brinzolamide Carbonic anhydrase inhibition Thiazides DCT Hydrochlorthiazide Chlorthalidone Na-Cl symporter inhibition Osmotic diuretics Non-specific Mannitol By osmotic effect Epithelial sodium channel blockers Collecting duct Amiloride Triamterene eNa channel blockade Aldosterone antagonists Collecting duct Spironolactone Epleronone Antagonism of aldosterone receptors